Carbonic anhydrase inhibitor should not be given in :  a) Sulfonamide hypersensitivity b) Glaucoma c) High altitude sickness d) Metabolic acidosis e) COPD
1. ace
2. ade
3. abcd
4. a

Correct answer: 2. ade